Not a cause of neonatal seizures:
1. Pyridoxine deficiency
2. Hypokalemia
3. Hypomagnesemia
4. Hypoglycemia

Correct answer: 2. Hypokalemia

Explanation: Etiology of Neonatal seizures: Birth asphyxia/ trauma Intracranial hemorrhage Pyridoxine deficiency and pyridoxal-5-phosphate deficiency Hypocalcemia Hypoglycemia Hypomagnesemia Infections- Meningitis, septicemia etc Developmental malformations Maternal withdrawal of medications Accidental injection of local anesthetic into fetal scalp - Hypokalemia usually does not cause neonatal seizure.